Which of the following enzymes does NOT contain Cu2+?
1. Ceruloplasmin
2. Cytochrome Oxidase
3. Xanthine oxidase
4. Superoxide Dismutase

Correct answer: 3. Xanthine oxidase

Explanation: Dopamine hydroxylase Peptidylglycine hydroxylase, Ceruloplasmin(copper containg plasma protein, enzyme) Amine oxidase Copper-dependent superoxide dismutase Cytochrome oxidase Tyrosinase lysyl oxidase Hephaestin, ferroxidase Ascorbic acid has specific roles in the copper-containing hydroxylases and the -ketoglutarate-linked iron-containing hydroxylases Superoxide diamutase is Zn containing